Which part of the internal carotid artery doesnot give any branch ?
1. Cervical part
2. Petrous part
3. Cavernous part
4. Cerebral part

Correct answer: 1. Cervical part

Explanation: The cervical part of the internal carotid artery doesnot give off any branches. Branches of internal carotid artery Part Course Branches Cervical part Originates from the bifurcation of the common carotid artery. It has a dilatation at the lower end which is known as carotid sinus It ascends infront of the trannsverse process of the upper three cervical vertebrae. - Petrous part Passes through the carotid canal in the petrous part of the temporal bone. Caroticotympanic branch Artery to the pterygoid canal Cavernous part Runs in the cavernous sinus Branch to the terminal ganglion Meningeal branch Branch to the cavernous sinus Hypophyseal branches Cerebral part/Supracavernal part Enters subarachnoid space by piercing arachnoid mater and divides into the anterior and middle cerebral arteries. Ophthalmic artery Anterior choroidal artery Posterior communicating artery The petrous, cavernous and intracranial parts of the internal carotid artery are called the Carotid Siphon because of its sigmoid course. Ref: Gray's Anatomy 41st edition Pgno: 280